Bevacizumab is :
1. Monoclonal antibody against VEGF
2. Anti–IL–2 monoclonal antibody
3. Monoclonal antibody against FGFR
4. Monoclonal antibody against EGFR

Correct answer: 1. Monoclonal antibody against VEGF